Which of the following combination is true about hormone and its site of action in renal tubules?
1. Aldosterone in collecting ducts
2. Angiotensin in distal tubule
3. ANP in loop of Henle
4. ADH in proximal tubule

Correct answer: 1. Aldosterone in collecting ducts

Explanation: Ans. A Aldosterone in collecting ductsRef: Guyton, 10th ed. pg. 290, 304Hormones and their site of ActionHormonesSite of action in kidneyAngiotensin IIConstricts afferent arterioles, helps to reduce GFRAldosteroneCortical collecting duct & distal tubulesADHMedullary collecting ductANPCollecting duct